SGPT is found in
1. Cytoplasm of hepatocytes
2. Mitochondria of hepatocytes
3. Nucleus of hepatocytes
4. None of the above

Correct answer: 1. Cytoplasm of hepatocytes

Explanation: SGPT Or alanine aminotransferase is found in the cytoplasm of hepatocyte. SGOT Or aspartate aminotransferase is found in hepatocyte mitochondria. Reference: Davidson, 23rd edition, page 852